A lady develops pigmentation on the bridge of nose and cheeks on exposure to sunlight. The most likely diagnosis is
1. Chloasma
2. Systemic lupus erythematosus
3. Photodermatitis
4. Rosacea

Correct answer: 1. Chloasma

Explanation: Ans. a. Chloasma